Iron absorption occurs in
1. Duodenum
2. Jejunum
3. Ileum
4. Colon

Correct answer: 1. Duodenum